In a young 26 year old woman with left side Ovarian carcinoma & Grade I histology, best management is?
1. Unilateral Oophorectomy and follow up
2. Unilateral Oophorectomy with Chemotherapy
3. Bilateral Oophorectomy
4. Hysterectomy & bilateral Oophorectomy

Correct answer: 1. Unilateral Oophorectomy and follow up

Explanation: In young patients with stage 1, low grade ovarian tumours and borderline tumours, fertility can be preserved Unilateral oophorectomy is done with follow up with regular pelvic examination and CA 125 levels